Which of the following are examples of infamous conduct for which warning notice can be issued by medical Counsil ?
1. Dichotomy
2. Adultery
3. Advertising
4. All of the above

Correct answer: 4. All of the above

Explanation: Dichotomy ( Fee splitting ), Adultery, Advertising are all examples of infamous conduct